An alcoholic with poor judgment and decreased skilled motor movements. Blood alcohol level would be
1. 60-80 mg%
2. 80-200 mg%
3. 200-300 mg%
4. > 400 mg%

Correct answer: 2. 80-200 mg%

Explanation: B i.e. 80-200 mg%